Lynch syndrome is associated with cancers of :
1. Breast, colon, ovary
2. Breast, endometrium, ovary
3. Breast, colon, endometrium
4. Colon, endometrium, ovary

Correct answer: 4. Colon, endometrium, ovary

Explanation: Lynch syndrome /Hereditary Non-polyposis Colon Cancer (HNPCC) Autosomal dominant Associated with - Right Colon, Endometrial, Ovarian cancers. d/t defective DNA repair genes leading to microsatellite instability.